Impotent quoad is seen in:
1. Inability of the male to beget children and in the female, the inability to conceive children
2. An individual who may be impotent with any particular woman (QUOAD- as regards) but not with others.
3. Inability of a person to perform sexual intercourse.
4. Inability to start or maintain the sexual arousal pattern in the female.

Correct answer: 2. An individual who may be impotent with any particular woman (QUOAD- as regards) but not with others.

Explanation: Ans. (b) An individual who may be impotent with any particular woman (QUOAD- as regards) but not with others.Ref: The Essentials ofFSM by K.S. Narayan Reddy 31st ed. / 357-58* IMPOTENCE: inability of a person to perform sexual intercourse. It cannot be placed as a defense for rape.* STERILITY: inability of the male to beget children and in the female, the inability to conceive children.* FRIGIDITY: inability to start or maintain the sexual arousal pattern in the female.* QUOAD: an individual who may be impotent with any particular woman but not with others.